In Tzanck smear multinucleated cells are seen in –
1. Chicken pox
2. Psoriasis
3. Molluscum contagiosum
4. Pemphigus vulgaris

Correct answer: 1. Chicken pox

Explanation: Blisters of varicella-zoster (chicken pox) show multinucleated gaint cells on Tzanck smear.